Owl eye intranuclear inclusion body is seen in?
1. Herpes zoster
2. Herpes simplex
3. CMV
4. EBV

Correct answer: 3. CMV

Explanation: Cytomegalic cells in centrifuged deposits from urine or saliva in which inclusion bodies are seen as owl eye REF:ANANTHANARYANAN TEXT BOOK OF MICROBIOLOGY 9EDITION PGNO.474